A FACTORY WORKER PRESENTED WITH TREMORS AND PERSONALITY CHANGES ON EXAMINATION HIS HANDS SHOWN BELWO , WHAT IS THE DIAGNOSIS?
1. MERCURY POISONING
2. LEAD POISONING
3. ARSENIC POISONING
4. COCAINE POISONING

Correct answer: 1. MERCURY POISONING

Explanation: Mercury Poisoning Acute effect * By ingestion: local corrosive effects; nausea, vomiting, severe abdominal pain, chemical colitis, renal damage * By inhalation: chemical pneumonitis, pulmonary edema Chronic effect * Classic symptoms: tremor, gingivitis, erethism (greek erethismos = irritate) * Renal & CNS damage * Minamata disease - neurological syndrome caused by severe mercury poisoning REF : NARAYANA REDDY TOXICOLOGY